A patient with glaucoma is being treated with systemic beta blocker. All of the following can be given to the patient except?
1. Brimonidine
2. Dorzolamide
3. Levobunolol
4. Prostaglandin

Correct answer: 3. Levobunolol

Explanation: Ans. c. Levobunolol (Ref: KDT 7/e p154, 6/e p144: 5/e p85)Brimonidine, dorzolamide and prostaglandin are topical anti-glaucoma drugs. These drugs do not have systemic side effects, while levobunolol (beta-blocker) is systemic anti-glaucoma drug given orally, having systemic side effects. That is why in patients with glaucoma treated with systemic beta blockers, levobunolol may add on the side effects of beta-blockers, hence, avoided in the above mentioned patient.Topical Anti-glaucoma DrugsAdrenergic agonistNon-selective: Epinephrine, DipivefrineAlpha2-selective: Apraclonidine, BrimonidineAdrenergic antagonistBeta-blocker (Non-selective): Timolol, Levobunolol, Carteolol, Metipranolol, AdapralolBeta 1-blocker: BetaxololMiotics (direct parasympatomimetics)Pilocarpine, PhysostigmineEcothiophate. Carbachol, DemacariumProstaglandin analoguesLatanoprostCarbonic anhydrase inhibitorsDorzolamideSystemic Antiglaucoma DrugsCarbonic anhydrase inhibitorsHyperosmotic agents* Acetazolamide* Dichlorphenamide* Methazolamide* Mannitol* Glycerol